Henoch Schonlein purpura is characterized by all except -
1. Thrombocytopenia
2. Glomerulonerphritis
3. Arthralgia
4. Abdominal pain

Correct answer: 1. Thrombocytopenia

Explanation: Ans. is ta1 i.e., Thrombocytopenia Purpura in Henoch Schonlein purpura is due to vasculitis and not thrombocytopeniaPlatelet count is either normal or elevated.H.S. purpura is characterized bv tetrad ofo PurpuraQ,o ArthritisQ,o GlomerulonephritisQ ando Abdominal painQ.Skino The hallmark of this disease is rash beginning as pinkish maculopapules that initially blanch on pressure and progress to petechiae or purpura which are characterized clinically as palpable purpuraQ.o The lesion tends to occur in cropsQo The lesion occur on the dependent areas of the body such as buttocksQ.Joints (80%)o Manifests as arthralgia or arthritis in large jointso Large joints of lower extremities are involved especially the knees and the ankleso MigratoryQ pattern of joint involvement is commono Arthritis is nondeformingQ in natureGastrointestinal tracto 60% presents with abdominal painQo 33% have evidence of gastrointestinal bleedingQ (melena)o Abdominal pain is typically colickyQo May worsen after anginaQ (intestinal angina)o Can lead to intussussceptionQ.Kidnev (40%)o Almost always appear after the development of skin manifestationo The clinical hallmark of nephritis in HSP is hematuria which is usually microscopico Studies characteristically demonstrate IgA deposition in the mesangium.